Crescents are derived from:
1. Epithelial cells + fibrin + macrophage
2. Mesangium + fibrin + macrophage
3. Tubule + mesangium + fibrin
4. Mesangium + fibrin

Correct answer: 1. Epithelial cells + fibrin + macrophage

Explanation: Ans. a. Epithelial cells+fibrin+macrophageCrescents: Presence of two or more layers of cell in crescent shaped in periphery of the Bowmans capsule.They are derived from proliferating parietal cells and Podocytes.It also derived from recruitment of circulating monocytes, macrophages and neutrophils.The local proliferation occurs in the Bowmans capsule.Crescents are the hall mark of RPGN.